Irradiation can be used to sterilizea all Except-
1. Bone graft
2. Suture
3. Artificial tissue graft
4. Bronchoscope

Correct answer: 4. Bronchoscope

Explanation: Bronchoscope-glutaraldehyde REF:Ananthanarayan & Panicker's Textbook of Microbiology 9th edition pg no:34